A health care system which is appropriate to everyone whether the service is needed at all in relation to essential human needs, can be accessible to everyone, available to everyone as first level of health care and the cost can be affordable by everyone is:
1. Primary health care
2. Secondary health care
3. Tertiary health care
4. Basic health care

Correct answer: 1. Primary health care

Explanation: Ans. (a) Primary health careRef : K. Park 23rd ed. / 891-92* PHC is Primary Health Care outlined by Alma Ata in 1978.* It is defined as essential health care, which is characterized by 4 As# Acceptable (it should be acceptable by everyone)# Accessible (it should be accessible by everyone)# Available (it should be available to everyone)# Affordable (it should be affordable to everyone)8 Elements of PHC (Primary Health Care) (remembered as ELEMENTS)EEssential drugsLLocally endemic disease prevention and controlEEPI (Expanded program of immunization)MMCH (Maternal and child Health care including family planning)EEducationNNutritionTTreatment of common ailmentsSSafe water supply and sanitation* Equity of distribution is NOT an element of PHC, but it is one of the principles/pillars of the PHC.* 4 Principles/Pillars of Primary Health Care:# Equitable distribution# Community participation# Intersectoral coordination# Appropriate technology.